Most common nephropathy in the world is
1. IgA nephropathy
2. Focal segmental glomerulosclerosis
3. Minimal change disease
4. Rapidly progressive glomerulonephritis

Correct answer: 1. IgA nephropathy

Explanation: IgA nephropathy (nuh-FROP-uh-thee), also known as Berger's disease, is akidney disease that occurs when an antibody called immunoglobulin A(IgA) builds up in your kidneys. This results in local inflammation that, over time, can hamper your kidneys' ability to filter waste from your blood. Refer robbins 9/e